Preferred bacteriological indicator of faecal contamination of water:
1. Faecal streptococci
2. Cl. prefringens
3. Faecal staphylococci
4. E.coli

Correct answer: 4. E.coli

Explanation: Ans: D i.e. E. coli The primary bacterial indicator recommended for acceptability purpose is the coliform group of organisms as a whole. The coliform group includes both faecal (E.coli) and non faecal organisms (Klebsiella aerogens) Supplementary indicator organisms, such as faecal streptococci and sulphite-reducing clostridia, may sometimes be useful in determining the origin of faecal pollution as well as in assessing the efficiency of water treatment processes.